Proline is a
1. Natural absorbable suture material
2. Synthetic absorbable suture material
3. Natural non absorbable suture material
4. Synthetic non absorbable suture material

Correct answer: 4. Synthetic non absorbable suture material